Cereal protein is deficient in which amino acid -
1. Leucine
2. Lysine
3. Phenylalanine
4. Tryptophan

Correct answer: 2. Lysine

Explanation: Ans. is 'b' i.e., Lysine Supplementary action of proteinso Cereals are deficient in essential amino acid Lysine & threonine,o Pulses are deficient in essential amino acid Methionine.o So if cereals are eaten with pulses, their proteins complement each other & provide a more balanced and complete protein intake.FoodDeficiencyCerealsWheatMaizePulsesSoyabeanLysine & threonineLysine & threonineTryptophan & lysineMethionine & cysteineMethionine